Urine of a UTI patient has a pH of more than 8, the probable organism is:
1. Ecoli
2. Proteus
3. Klebsiella
4. Candida

Correct answer: 2. Proteus

Explanation: Ans: B (Proteus) Ref: Harrison's 18th edn, pg 1245Explanation:Proteus UTICauses only 1% UTI in healthy womenCauses 5% of hospital acquired UTI15% of catheter associated UTIProduces urease, which hydrolyses urea- Ammonia- Alkaline urineAlkaline urine- precipitation of organic and inorganic compounds- Struvite and Carbonate-Apatite crystals, Staghorn calculi and forming Biofilm on catheter.